The normal extent of temporal field of vision for white colour is about:
1. 60deg
2. 80deg
3. 90deg
4. 110deg

Correct answer: 3. 90deg

Explanation: Ans. 90deg